In marasmus, which of the following is not seen?
1. Edema
2. Voracious appetite
3. Hepatomegaly not seen
4. Child is active

Correct answer: 1. Edema

Explanation: Edema is a feature of Kwashiorkor, not seen in marasmus. Kwashiorkor Marasmus Edema Present absent appetite poor Voracious appetite CNS involvement apathy Active child Hepatomegaly seen Not seen Skin and hair changes More common Less common